Which of the following nutrients are not included in Total parenteral nutrition
1. Lipids
2. Carbohydrates
3. proteins
4. Fibers

Correct answer: 4. Fibers

Explanation: Dietary fibres are not provided through parenteral nutrition. Parenteral nutrition solution contains essential nutrients including protein, carbohydrates, fat, vitamins, trace elements electrolytes and water. Pg NO.286 BAILEY 27TH EDITION